The energy generated from alcohol is:
1. 4 kcal/g
2. 0 kcal/g
3. 7 kcal/g
4. 9 kcal/g

Correct answer: 3. 7 kcal/g

Explanation: Ans. C. 7kcal/gAverage energy available from macronutrients is as follows:Carbohydrate--4kcal/gProtein--4kcal/gFat--9kcal/gAlcohol--7kcal/g